In low ovarian reserve, anti-mullerian hormone level will be
1. <1
2. 4-Jan
3. >7
4. >10

Correct answer: 1. <1

Explanation: * AMH levels in mature women reflect ovarian follicle reserve * Expressed by the granulosa cells of small preantral follicles * Vary minimally across the cycle * 3 ng/mL at age 25, and this dropped to 1 ng/mL at age 35 to 37. * In case of low ovarian reserve- levels are <1 ng/ml Ref:- Williams gynecology 3rd Edition; Pg num:- 436